A 9-year-old boy presents with a several day history of progressive arm and leg weakness. He has been well except for an upper respiratory infection two weeks ago. The patient is alert and oriented. On repeated examination, the heart rate varies between 60 and 140 beats/minute and the blood pressure varies between 90/60 and 140/90 mm Hg. Respirations are shallow with a rate of 50/minute. There is symmetric weakness of the face and all four extremities. Deep tendon reflexes are absent. Sensation is intact. The most likely diagnosis is:
1. Polymyositis
2. Myasthenia gravis
3. Transverse myelitis
4. Guillain-Barre syndrome

Correct answer: 4. Guillain-Barre syndrome

Explanation: Progressive, symmetric motor weakness, areflexia, and autonomic instability, with mild or absent sensory signs, are typical features of Guillain-Barre syndrome. Frequently there is a history of infection (often respiratory) in the several weeks preceding clinical onset of the syndrome. Supportive evidence for the diagnosis includes elevation of cerebrospinal fluid protein concentration with a mild (10 or fewer cells/mL) mononuclear pleocytosis and slowing of nerve conduction velocities. Ref: Greenberg D.A., Aminoff M.J., Simon R.P. (2012). Chapter 10. Sensory Disorders. In D.A. Greenberg, M.J. Aminoff, R.P. Simon (Eds), Clinical Neurology, 8e.